Enzyme activity measured in beri-beri is
1. Transketolase
2. Transaminase
3. Decarboxylase
4. Deaminases

Correct answer: 1. Transketolase

Explanation: The transketolase activity in erythrocytes  is decreased. MeasuremenL of  RBC transketolase activity is  a  reliable diagnostic test to  assess thiamine deficiency.
Ref: Satyanarayana, 3rd ed, pg-136